C-reactive proteins are -
1. Alpha-1 globulin
2. Beta-1 globulin
3. Alpha-2 globulin
4. All

Correct answer: 2. Beta-1 globulin

Explanation: Ans. is 'b' i.e., Beta-1 globulin C-reactive is a nonspecific inflammatory acute phase protein. It is a beta globulin which is produced in the liver.